Amount of ORS given in 5kg child with diarrhoea with some dehydration
1. 300ml over 2 hours
2. 350ml over 1 hour
3. 375ml over 4 hours
4. 400ml over 6 hours

Correct answer: 3. 375ml over 4 hours

Explanation: For some dehydration, amount of ORS given is 75ml/kg over 4 hours, hence 75×5 = 375 ml over 4 hours.